Which of the following artery is derivative of second aortic arch?
1. Maxillary artery
2. Middle meningeal artery
3. Stapedial artery
4. Anterior tympanic artery

Correct answer: 3. Stapedial artery

Explanation: Ans. c (Stapedial artery) (Ref. Human Embryology by Inderbirsingh, 7th ed., p 112)Stapedial artery is artery of the 2nd branchial arch and is seen during embryonic life transiently.Its persistence leads to deafness.derivative sof arotic archesAortic archDerivativesClue to remember I1stPart of MAXillary artery.1st arch is MAXimal.2ndStapedial artery and hyoid artery.Second = Stapedial.3rdCommon Carotid artery and proximal part of internal carotid artery.C is 3rd letter of alphabet.4thOn left, aortic arch; on right, proximal part of right subclavian artery4th arch (4 limbs) = systemic.6thProximal part of pulmonary arteries and (on the left only) ductus arteriosus.6th arch = pulmonary and pulmonary-to- systemic shunt (ductus arteriosus).7th intersegmental ADistal right Subclavian artery, Left Subcl artery7th = Subclavian